Black gun powder made of -a) Potassium nitrateb) Charcoalc) Sulfur powderd) Cellulose nitratee) Barium sulfate
1. ab
2. abc
3. acd
4. bcd

Correct answer: 2. abc

Explanation: The classical gun powder is known as black powder, consists of charcoal (15%), sulphur (10%), and potassium nitrate (75%).